If both parents are suffering from schizophrenia then what chance does the offspring have of being schizophrenic?
1. 4%
2. 14%
3. 40%
4. 50%

Correct answer: 3. 40%

Explanation: Ans. (c) 40%Ref. Kaplan and sadock's 10/e, table 13-3